Anterior communicating arteries in the circle of Willis is derived from ?
1. Basilar artery
2. Vertebral artery
3. Internal carotid artery
4. Anterior cerebral artery

Correct answer: 4. Anterior cerebral artery

Explanation: The circulus arteriosus (circle of Willis) is a large arterial anastomosis which unites the internal carotid and vertebrobasilar systems. Anteriorly, the anterior cerebral arteries, which are derived from the internal carotid arteries, are joined by the small anterior communicating artery. Posteriorly, the two posterior cerebral arteries, which are formed by the division of the basilar artery, are joined to the ipsilateral internal carotid artery by a posterior communicating artery.